Agoraphobia treated with
1. Systemic desensitization
2. Psychodynamic therapy
3. Exposure therapy
4. All

Correct answer: 4. All

Explanation: A i.e. Systemic desensitization; B i.e. Psychodynamic therapy; C i.e. Exposure therapy